Example for "AMPLIFIER HOST"
1. Pig in JE
2. Dog in hydatid disease
3. Cattle in mad cow disease
4. Rat in plague

Correct answer: 1. Pig in JE

Explanation: Infected pigs do not manifest any overt symptoms of illness but circulate the virus so that mosquitoes get infected and can transmit the virus to man. Thus pigs are thus considered as 'amplifiers' of the virus. Reference:Park's textbook of preventive and social medicine,K.Park,23rd edition,page no:285.